Wof vitamin D preparations would be the most appropriate in a patient with poor renal function
1. Cholecalciferol
2. Calcitriol
3. Ergocalciferol
4. Calcifediol

Correct answer: 2. Calcitriol

Explanation: 1-Hydroxylase activity must be adequate to produce 1,25(OH) 2 D 3. Calcitriol is the only choice that is already 1-hydroxylated. Ref:- kd tripathi; pg num:-341